Hardy Weinberg Rule is related to
1. Social medicine
2. Population genetics
3. Health economics
4. None of the above

Correct answer: 2. Population genetics

Explanation: Hardy Weinberg Rule is a set of algebraic formulas that describe how the proportion of different genes can remain the same over time in a large population of individuals